Which among the following can prevent coagulation of blood:
1. Calcium oxalate
2. Sodium citrate
3. Sodium iodide
4. Potassium chloride

Correct answer: 2. Sodium citrate

Explanation: Ans b: (Ref: Guyton 11th edition p466-467)Methods to present blood coagulation in vitro1 Siliconized containers - Present contact activation of platelets & Factor 82 Heparin - Especially is heart lung machine /artificial kidney3 Oxalate compunds - By precipitation of calcium oxalate compounds4 Citrate compounds(Sodium citrate, ammonium citrate, potassium citrate)- By deionization of blood calcium by forming an unionized calcium compound.But remember citrate anticoagulants are superior to oxalate anticoagulants because oxalate is toxic to body; but moderate quantities of citrate can be injected intravenously